A doctor should not take fees for issuing a certificate-
1. To a govt. employee
2. Death certificate
3. Poor patient
4. Psychiatric patient

Correct answer: 2. Death certificate

Explanation: For issuing death certificate, a doctor cannot charge any fee.